Charcot triad include all the following except
1. Abdominal pain
2. Fever
3. Jaundice
4. Mental obtundation

Correct answer: 4. Mental obtundation

Explanation: Ans) d (Mental obtundation) Ref Bailey 25th ed pg 1125Charcot's triadA triad of cholangitis which includes pain, jaundice & fever.Mental otundation is seen in Reynolds pentad.Reynold's pentadCharcot's triad + shock + mental obtundationSaint's triadGall stones, Hiatus hernia, Diverticulitis.Courvoisier's lawIn obstruction of the CBD due to a stone distention of GB seldom occurs - organ is usually shrivelled.